Protein quality assessments is best done by -
1. NPU
2. Biological value
3. Digestibility coefficient
4. Amino acid score

Correct answer: 1. NPU

Explanation: - the net protein utilisation is considered of more practical value for evaluation of protein because it is the product of biological value and digestibility coefficient divided by 100. - it is the proportion of ingested protein that is retained in the body under specified condition for the maintenance and/or growth of the tissues. Reference : Park's textbook of preventive and social medicine, 23rd edition, pg no:610